Insane paresis is associated with -
1. Syphilis
2. Leishmaniasis
3. Yellow fever
4. Nesseria meningitis

Correct answer: 1. Syphilis

Explanation: Ans. is 'a' i.e., Syphilis General paresis of insane Is a form of neurosyphilis, peaks in incidence 10 to 20 years after untreated Treponemapalliduminfection.It often starts with subtle cognitive and emotional changes, such as problems with concentration and irritability, and, if untreated, can lead to memory loss, confabulation, anomia, apraxia, or pseudobulbar palsy. The disease may mimic any psychiatric disorder, as well.One-half of the patients with neurosyphilis manifest dementia, of whom one-fourth of patients have prominent psychiatric manifestations, such as depression, paranoia, psychosis, or mania.A worsening of symptoms during the first 24 hours after the initiation of antibiotic treatment has been termed the Jarisch-Herxheimer reaction. With disease progression, there is loss of muscle tone, fine motor control, seizures, spasticity, and, eventually, paralysis and death.